Compared with Cow\'s milk, mothers milk has more –
1. Lactose
2. Vit D
3. Proteins
4. Fats

Correct answer: 1. Lactose